The treatment of choice in a 56 years old woman with endometrial cancer is :
1. Irradiation
2. Wertheim's hysterectomy
3. Pan hysterectomy
4. Irradiation and later panhysterectomy

Correct answer: 3. Pan hysterectomy

Explanation: Pan hysterectomy